Normal Lithium therapeutic level is
1. 0.5-0.7 mEq/L
2. 0.7-1.1 mEq/ L
3. 0.1-0.3 meq/L
4. 1.5-2 mEq/ L

Correct answer: 2. 0.7-1.1 mEq/ L

Explanation: B i.e. 0.7-1.1 meq/L